Which of the following will cause Bull's eye retinopathy
1. INH
2. Chloroquine
3. Ethambutol
4. Steroids

Correct answer: 2. Chloroquine

Explanation: B i.e. Chloroquine